All of the following are signs of inadequate breast milk intake in a neonate, EXCEPT:
1. Weight loss of 5% from birth
2. Less than six noticeably wet diapers per 24 h by day 3-4
3. Less than four stools per day by day 3-4
4. Nursing less than eight times per 24 h

Correct answer: 1. Weight loss of 5% from birth

Explanation: In a neonate with inadequate breast milk intake the weight loss is more than 8-10%. Other signs of inadequate breast milk intake are: Less than six noticeably wet diapers per 24 h by day 3-4 Less than four stools per day by day 3-4 Nursing less than eight times per 24 h Breast milk jaundice: refers to presence of unconjugated hyperbilirubinemia lasting until 2-3 months of age. This diagnosis is strongly suspected in the presence of moderate unconjugated hyperbilirubinemia lasting for 6-12 weeks in a thriving breast-fed infant without evidence of hemolysis, hypothyroidism, or other disease. Ref: Thilo E.H., Rosenberg A.A. (2012). Chapter 2. The Newborn Infant. In W.W. Hay, Jr., M.J. Levin, R.R. Deterding, J.J. Ross, J.M. Sondheimer (Eds),CURRENT Diagnosis & Treatment: Pediatrics, 21e.